Peutz  Jeghers Syndrome has
1. Autosomal Recessive inheritance
2. Autosomal dominant inheritance
3. X linked Recessive inheritance
4. X linked dominant inheritance

Correct answer: 2. Autosomal dominant inheritance

Explanation: Peutz  Jegher Syndrome is Autosomal dominant disorder charcterised  by multiple hamartomatous polyps in the gastrointestinal tract.